Larynx is located at what vertebral levels?
1. C1 to C3
2. C2 to C5
3. C3 to C6
4. C4 to C7

Correct answer: 3. C3 to C6

Explanation: situation and extent The larynx lies in the anterior midline of the neck.extending from the tongue to the trachea.in the adult male it lies in front of the third to sixth cervical vertebrae but in children and in the adult female it lies at a little higher level. Ref BDC volume 3; 6th edition